MMSE is used for diagnosis of:
1. Alzheimer's
2. Schizophrenia
3. Depression
4. Anxiety disorders

Correct answer: 1. Alzheimer's

Explanation: MINI MENTEL STATE EXAMINAITON Screening test for dementia Total 30 points >= 25 Points consider normal 21-24 - Mild dementia 10-20 - Moderate dementia <10 - Severe dementia Abbreviated Mental Test Score (AMTS) - out of 10 points, score of 6 or less taken as delirium